Ethambutol is associated with
1. Red-green colour blindness
2. Red-blue colour blindness
3. Blue-green colour blindness
4. Yellow-green colour blindness

Correct answer: 1. Red-green colour blindness

Explanation: Ethambutol may cause ‘optic neuritis’ (ocular toxicity): 463 National Health Programmes, Policies and Legislations in IndiaReview of Preventive and Social Medicine
It may lead to ‘red-green color blindness’
Patients may thus develop ‘blue vision’
Thus it is contraindicated in children < 6 years age, as they may not be able to report any deterioration of color vision.